Which of the following statements is TRUE about Rabies Virus:
1. It is double stranded RNA virus
2. Contains a DNA-dependent RNA polymerase
3. Negative sense RNA Genome
4. Affects motor neurons

Correct answer: 3. Negative sense RNA Genome

Explanation: The Rabies virus belongs to the Rhabdoviridae family, and is the prototypic member of the genus lyssavirus. It has a single-stranded, non-segmented, negative-sense RNA genome. The helical nucleocapsid is composed of a single-stranded negative-sense RNA genome and an RNA-dependent RNA polymerase enclosed in a matrix protein covered by a lipid bilayer envelope containing knob-like glycoprotein. Note - Negative-sense RNA virus replicates in the cytoplasm Ref: Microbiology By Jawetz, 20th Edition, Page 482 ; Rabies By Alan C. Jackson, William H. Wunner, 2007, Page 24